Registration point:
1. Point 'A'
2. A point half way on the perpendicular from sella to Boltons plane
3. Nasion
4. Point 'B'

Correct answer: 2. A point half way on the perpendicular from sella to Boltons plane